Prussak's space is bounded below by
1. Fibers of lateral malleolar fold
2. Shrapnell's membrane
3. Short process of malleus
4. Neck of malleus

Correct answer: 3. Short process of malleus

Explanation: Anatomy of middle ear Boundaries of Prussak's space: Superior - Fibers of lateral malleolar fold Inferior - Short process of malleus Lateral - Shrapnell's membrane Medial - Neck of malleus Ref : Diseases of ENT by Dhingra 6th edition Pgno : 449